Buprenorphine is classified as:-
1. Agonist and antagonist at mu receptors
2. Antagonist at mu receptors
3. Full agonist at mu receptors
4. Partial agonist at mu receptors

Correct answer: 4. Partial agonist at mu receptors

Explanation: Buprenorphine is partial agonist at mu receptor with kappa and delta antagonistic property. It is useful as an analgesic and as an alternative to methadone for the management of opioid withdrawal. Nalbuphine, pentazocine and dezocine are k agonists and m receptor antagonists. These drugs can produce psychomimetic effects with hallucinations, nightmares and anxiety. Butorphanol is a predominant k agonist that produces equivalent analgesia but more sedation than morphine.